Which is not used in the treatment of endometriosis :
1. Danazol
2. Tamoxifen
3. Medroxyprogesterone
4. GnRH analogues

Correct answer: 2. Tamoxifen

Explanation: Tamoxifen